Renal involvement in multiple myeloma is characterized by
1. Nitrogen retention
2. Hypertension
3. Edema
4. Haematuria

Correct answer: 1. Nitrogen retention

Explanation: It is due to the accumulation of light chain immunoglobulins, which here can be referred by nitrogen retention.